Memory T cells can be identified by using the following marker -
1. CD45 RA
2. CD45 RB
3. CD45 RC
4. CD45 RO

Correct answer: 4. CD45 RO